1752. Which does't cause hemolysis in G 6 PD deficiency -
1. Oestrogen
2. Salicylates
3. Primaquine
4. Nitrofurantoin

Correct answer: 1. Oestrogen

Explanation: Drugs which develops oxidant stress in RBCs in G 6 PD deficiency & results in hemolysis are: analgesics(aspirin,phenacetin),antimalarials(primaquine,quinine,chloroquine,pyrimethamine),antibiotics(sulphonamides,nitrofurantoin,ciprofloxacin)miscellaneous (quinidine,probenecid,vitamink,dapsone)

Reference :Davidson's principles & practice of medicine 22nd edition pg no1029